The commonest cancer of oral cavity is
1. Adenocarcinoma
2. Melanoma
3. Sarcoma
4. Squaous cell carcinoma

Correct answer: 4. Squaous cell carcinoma

Explanation: Ans. (d) Squamous cell carcinomaRef: Devita 9th edition, page 729* Most common site oral Cancer: Carcinoma Tongue > Carcinoma Lip* Most common histological type: Squamous Cell Cancer* Most common site of oral Cancer in India: Cancer of Buccal Mucosa* Max Risk of L.N. Metastasis: Carcinoma Tongue* Min Risk of L.N Metastasis: Carcinoma lip > hard palate* Most common age: 50-60 years